Non granulomatous uveitis- all are causes except
1. Ankylosing Spondylitis
2. Sarcoidosis
3. Juvenile Idiopathic Arthritis
4. Posner Schlossman Syndrome

Correct answer: 2. Sarcoidosis

Explanation: Answer- B. Sarcoidosis